True about fungal corneal ulcer -
1. Symptoms are severe
2. Dry looking ulcer
3. Irregular,zigzag linear branching
4. Shifting hypopyon

Correct answer: 2. Dry looking ulcer

Explanation: Fungal corneal ulcer is dry looking,greyish white with elevated rolled out margins,sterile immune ring may be present,big hypopyon,corneal vascularisation is conspicuosly absent in purr mycotic ulcer.Reference:Comprehensive ophthalmology,AK Khurana,6th edition,page no.106